Risk factor for bladder carcinoma is
1. Clonorcis sinensis
2. Schistosoma hematobium
3. Plasmodium
4. None

Correct answer: 2. Schistosoma hematobium

Explanation: Answer- B. Schistosoma hematobiumCigarette smoking is the main etiological factor.Occupational exposures to chemicalsSchistosoma haemotobiumDrugs such as phenacetin & chlornaphazineCyclophosphamidetherapyPelvic radiation